Edwards syndrome is due to:
1. Trisomy 21
2. Trisomy 18
3. 18 p
4. Trisomy 13

Correct answer: 2. Trisomy 18

Explanation: Ans: b (Trisomy 18)Ref: Robbin's Patho, 7thed, p. 177 & 6thed, p. 172